Cornea melts without inflammation in which condition -
1. Gout
2. Sarcoidosis
3. Keratomalacia
4. Rheumatoid arthritis

Correct answer: 3. Keratomalacia

Explanation: Keratomalacia

It is a common condition in developing countries and is due to deficiency of vitamin A.  
The condition is usually bilateral.
In keratomalacia, the cornea becomes dull and insensitive, hazy and yellow infiltrates form until finally the whole tissue undergoes necrosis and seems to melt away within a few hours.
A characteristic feature is the absence of inflammatory reaction.
Keratomalacia is often precipitated by an acute systemic illness such as measles, pneumonia or severe diarrhoea.